Commonest helminthic infection in AIDS is -
1. Trichuris trichura
2. Strongyloides stercoralis
3. Enterobius vermicularis
4. Nector-americanus

Correct answer: 2. Strongyloides stercoralis

Explanation: Generalized strongyloidiasis is the main helminthic infection REF:MICROBIOLOGY ANANTHA NARAYANAN NINTH EDITION PAGE.576